Sickle scaler in cross section appears
1. Round
2. Oval
3. Triangular
4. Half round

Correct answer: 3. Triangular